Rigor mortis completely develops in:
1. 1-2 h
2. 3-6 h
3. 6-8 h
4. 10-12 h

Correct answer: 4. 10-12 h

Explanation: Ans. 10-12 h